A patient is always preoccupied with feeling of illness. Diagnosis is:
1. Hypochondriasis
2. Somatization disorder
3. Conversion disorder
4. Obsession

Correct answer: 1. Hypochondriasis

Explanation: Ans. Hypochondriasis